Drug of choice for treatment of malignant hyperthermia -
1. Dantrolene sodium
2. Potassium chloride
3. Atropine
4. Corticosteroids

Correct answer: 1. Dantrolene sodium

Explanation: Ans. is 'a' i.e., Dantrolene sodium o I. V dantroline is the DOC, it acts by preventing the release of calcium from sarcoplasmic reticulumo Others are for supportive treatment - oxygen, cooling, and insulin & dextrose are given for hyperkalemia due to potassium release from contracted muscle.